Treatment of choice for Echinococcus granulosus is.
1. Albendazole
2. Mebendazole
3. Thiobendazole
4. Praziquantel

Correct answer: 1. Albendazole

Explanation: Answer is A (Albendazole): The drug of choice for treatment of Echinococcus granulosus injection (Hydatid cyst) is Albendazole.